Nernst equilibrium potential for Cl– is
1. –90mV
2. +60mV
3. –70mV
4. +80mV

Correct answer: 3. –70mV

Explanation: Nernst equilibrium potential of different ions
Na+ = +60mV
K+ = –90mV
Cl- = –70mV
Ca2+ = +100 to +110mV